In wound injury sequence of appearance of cells is?
1. Macrophage - Platelet - Neutrophils - Fibroblast
2. Neutrophils - Macrophages - Platelet -+ Fibroblast
3. Platelet Neutrophils -Macrophages Fibroblast
4. Platelet Macrophages - Neutrophils -* Fibroblast

Correct answer: 3. Platelet Neutrophils -Macrophages Fibroblast

Explanation: Ans. is 'c' i.e., Platelet - Neutrophils - Macrophages- Fibroblast